Doctrine of res ipsa loquitur means -
1. Common knowledge
2. Medical maloccurance
3. Fact speaks of itself
4. Oral evidence

Correct answer: 3. Fact speaks of itself

Explanation: Res ipsa loquitur means the thing or fact speaks for itself. Here the patient need not prove negligence but has to merely state what according to him was the act of negligence. Following conditions must be satisfied: that in absence of negligence the injury would not have occurred ordinarily, that the doctor had exclusive control over injury producing instrument or treatment, that the patient was not guilty of contributory negligence. This condition is criminal negligence. REF: Dr.K.S.Narayana Reddys Synopsis of Forensic Medicine & Toxicology 29th edition Pg.22.